Lymphangiography of the leg is performed by -
1. An injection of sodium diatrizoate (Hypaque) subcutaneously between the toes
2. Injecting sodium diatrizoate retrogradely under pressure into a small vein on the dorsum of the foot
3. Dissecting lymphatics through an incision on the dorsum of the foot
4. The use of an infusion pump

Correct answer: 3. Dissecting lymphatics through an incision on the dorsum of the foot

Explanation: Direct-contrast lymphangiography provides the finest details of the lymphatic anatomy. However, it is an invasive study that involves exposure and cannulation of lymphatics at the dorsum of the forefoot, followed by slow injection of contrast medium (ethiodized oil). The procedure is tedious, the cannulation often necessitates aid of magnification optics (frequently an operating microscope is needed), and the dissection requires some form of anesthetic. After cannulation of a superficial lymph vessel, contrast material is slowly injected into the lymphatic system.